The proximal part of the aorta is derived from which of the following?
1. Truncus arteriosus
2. Bulbus cordis
3. Primitive ventricle
4. Primitive atrium

Correct answer: 1. Truncus arteriosus

Explanation: Proximal part / arch of aorta is fromed by: 1. Left horn of aortic sac 2. Left 4th phyrangeal arch artery 3. Left dorsal aorta - Neural crest cells migrate to truncus arteriousus and forms AP septum (spiral septum) which divides Truncus into anterior Aorta and posterior Pulmonary trunk. Thus the proximal part of the aorta is derived from the truncus arteriosus. - From truncus arteriosus develops aortic sac with left and right horns . - Truncus arteriosus forms the outflow tract and blood is pumped by heart into phrangeal arch arteries and dorsal aorta